Interocclusal distance is required because
1. It is essential in complete denture construction
2. It permits supporting tissues to rest
3. It helps in mounting casts
4. None of the above

Correct answer: 2. It permits supporting tissues to rest

Explanation: The interocclusal distance is a necessity, when the mandible is at rest, as it permits supporting hard and soft tissues to rest.